A 42 yrs man presenting with dizziness on standing and SBP falls by 50 mm of g -a) Gradual stockings and compressionsb) SIL isoprenalinec) Fludrocortisoned) Salmeterol
1. a
2. bc
3. ad
4. ac

Correct answer: 4. ac